The enzyme used in polymerase chain reaction (PCR) is:
1. Taq polymerase
2. RNA polymerase
3. Ribonuclease
4. Endonuclease

Correct answer: 1. Taq polymerase

Explanation: Ans. A. Taq polymerasePolymerase Chain Reaction is a technique employed for DNA amplification. It requires the following apparatus:a. A target DNA.b. Two primers (synthetic oligonucleotides of 17-30 nucleotides length) that are complementary to flanked regions of DNA.c. Four dNTP's.d. A DNA polymerase mainly Taq DNA polymerase (Thermo stable). It has been isolated form Thermus aquaticus. It is heat resistant, so no need to add fresh enzyme in every cycle.